Cross section of an arteriole shows 'onion skin thickening' of its wall. It is seen in:
1. Atherosclerosis
2. Medial calcific sclerosis
3. Hyaline arteriosclerosis
4. Hyperplastic arteriosclerosis

Correct answer: 4. Hyperplastic arteriosclerosis

Explanation: Hyperplastic arteriolosclerosis: Associated with malignant hypertension. It is a concentric, cellular thickening (i.e., onion-skinning) of the wall associated with fibrinoid necrosis.Atherosclerosis: Grossly recognizable atherosclerosis begins as a fatty streak and progresses to a fibroatheroma. Monckeberg medial calcification: A condition of little clinical significance because the changes are nonstenotic. It is characterized by medial calcification ("pipestem rigidity") of the muscular arteries (often radial and ulnar arteries) in elderly men. Hyaline arteriolosclerosis: Associated with benign hypertension. It is eosinophilic, acellular thickening of the wall of arterioles. Ref: Wyatt C., Kemp W.L., Moos P.J., Burns D.K., Brown T.G. (2008). Chapter 9. Vascular Pathology. In C. Wyatt, W.L. Kemp, P.J. Moos, D.K. Burns, T.G. Brown (Eds), Pathology: The Big Picture.